Vascular involvement and thrombosis is seen in -a) Coccidioidomycosisb) Aspergillosisc) Mucormycosisd) Histoplasmosis
1. a
2. bc
3. ac
4. ad

Correct answer: 2. bc